Which is excreted typically in lead poisoning -
1. Urobilinogen
2. Coproporphyrin
3. Bilirubin
4. Bile salts

Correct answer: 2. Coproporphyrin

Explanation: In lead poisoning coproporphyrin excretion is increased in urine (normally, in nonexposed person it is less than 150 g/liter).